Components of whipple's surgery are all except
1. Gastrojejunostomy
2. Duodenojejunostomy
3. Choledochojejunostomy
4. Pancreaticoduodenectomy

Correct answer: 2. Duodenojejunostomy

Explanation: Duodenojejunostomy is done in PPPD, not in whipple's procedure Gastrojejunostomy is done in whipple's procedure Ref: Sabiston 20th edition Pgno :1546 Bailey and love 27th edition Pgno :1237